Inferior border of scapula lies at the level of which rib?
1. 5th
2. 6th
3. 7th
4. 8th

Correct answer: 3. 7th

Explanation: ANSWER: (C) 7thREF: Gray's Anatomy 40th Ed Ch: 49Indirect repeat Anatomy 2012 Session II, 2013 Session 1The inferior angle overlies the seventh rib or intercostal space and T7